Response to iron deficiency anemia is denoted by
1. Restoration of enzymes
2. Reticulocytosis
3. Increase in iron binding capacity
4. Increase in hemoglobin

Correct answer: 2. Reticulocytosis

Explanation: The indicator for a response to iron therapy is reticulocytosis. The response to iron therapy varies, depending on the erythropoietin stimulus and the rate of absorption. Typically, the reticulocyte count should begin to increase within 4-7 days after initiation of therapy and peak at 1-1 1/2 weeks. Harrison 19e 629; ref Robbins 9/e pg 421